Epithelium is absent in lens on -
1. Anterior surface
2. Anterior pole
3. Posterior surface
4. At zonular attachment

Correct answer: 3. Posterior surface

Explanation: There is no posterior epithelium, as these cells are used up in filling the central cavity of lens vesicle during development of the lens.